Major metabolic pathway in Erythrocytes?
1. b-Oxidation
2. Citric acid cycle
3. Gluconeogenesis
4. Pentose phosphate pathway

Correct answer: 4. Pentose phosphate pathway

Explanation: Major Metabolic FeaturesOrganMajor PathwaysMain SubstratesMajor ProductsExpoedSpecialist EnzymesErythrocytesAnaerobic glycolysis,Pentose phosphatepathwayGlucoseLactateHemoglobin, enzymesof pentose phosphatepathwayRef: Harper's Biochemistry; 30th edition; Page no: 150; Table 14-3